Inonizing radiation affects which stage of cell cycle
1. G2S
2. G1G2
3. G2M
4. G0G1

Correct answer: 3. G2M

Explanation: Ref Robbins 8/e p 286, Harrison 17/e p516; 9/e p289 The G2/M checkpoint ministers the completion of the DNA replication and checks whether the cell can safely intiates the mitosis and separate sister chromatids,this checkpoint is particularly important in cells exposed to inonizing radiation , cells damaged by inonizing radiation activates G2M Check point and. Arrest in G2